Which of the follow ing is not a major criteria for rheumatic fever-
1. Carditis
2. Arthralgia
3. Erythema marginatum
4. Subcutaneous nodule

Correct answer: 2. Arthralgia

Explanation: Ans. is 'b' i.e., Arthralgia Guidelines for the Diagnosis of Initial Attack of Rheumatic Fever (Jones Criteria, Updated 1992)Major manfestationsMinor manfestationsSupporting evidence of antecedent group A Streptococal infectionCarditisClinical features:Positive throat culture or rapid streptococcal antigen testPolyarthritisArthralgia FeverElevated or increasing streptococcal antibody titerErythema marginatumLaboratory features: Subcutaneous nodulesElevated acute phase reactants : Erythrocyte sedimentation rate C-reactive protein Prolonged PR interval Chorea o From Jones criteria, updated 1992. JAMA 1992;268:2069-2073. Copyright American Medical Association.o The presence of 2 major or of 1 major and 2 minor manifestations indicates a high probability of acute rheumatic fever if supported by evidence of preceding group A streptococcal infection.